A patient presents with severe pain in right upper quadrant associated with nausea and vomiting, exacerbation during inspiration and tenderness on palpation. Which of the following is the imaging modality of choice for the above patient?
1. Ultrasonography
2. CT Scan
3. MRI
4. X ray

Correct answer: 1. Ultrasonography

Explanation: Ans. is 'a' i.e., Ultrasonography * Patient with severe pain in right upper quadrant associated with nausea and vomiting, exacerbation during inspiration and tenderness on palpation is suggestive of probable case of acute cholecystitis with positive murphys sign. Ultrasonography is the modality of choice for the diagnosis of this condition.